Patients having acute cardiac failure do not show oedema, because :
1. The plasma oncotic pressure is high
2. There is renal compensation
3. There is an increase in cardiac output
4. There is a fall in the systemic capillary hydrostatic pressure

Correct answer: 4. There is a fall in the systemic capillary hydrostatic pressure

Explanation: D i.e. There is fall in systemic capillary hydrostatic pressureEdema normally occurs due to increased hydrostatic pressure that pushes fluid out or due to reduced oncotic pressure that fails to pull the fluid.Acute heart failure is usually predominantly systolic and sudden reduction in cardiac output often result in systemic hypotension without peripheral edema.Acute heart failure is associated with a fall in hydrostatic pressure and therefore explains lack of peripheral edema.